Wavelength of light produced by wood's Lamp is ?
1. 320nm
2. 360 nm
3. 400 nm
4. 760-800 nm

Correct answer: 2. 360 nm

Explanation: B i.e. 360 nm